Fungus not isolated in culture ?
1. Cryptococcus
2. Dermatophyte
3. Candida
4. P. jiroveci

Correct answer: 4. P. jiroveci

Explanation: Ans. is 'd' i.e., P. jiroveci Culture of fungi Culture media used in mycology are : Sabouraud's glucose agar (most common) Czapek - Dox medium Corn meal agar Culture media are supplemented with chloramphenicol to minimize bacterial contamination and cycloheximide to reduce contamination with saprophitic fungi. Cultures are incubated at 22 - 30degC and 37degC. Rhinosporidium seebri and Pneumocystis jiroveci (formerly P. carinii) can not be cultivated in media. Malassezia furfur does not grow on regular sabouraud's medium. It requires complex media to grow. Malassezia furfur does not grow on regular sabouraud's medium. It requires complex media to grow M. furfur is a lipid dependent fungus and 1% emulsified olive oil is added to sabouraud medium for its cultivation Two media are now widely employed for all malassezia species. Dixon medium Modified dixon medium